Reactivation of TB is almost exclusively a disease of?
1. Bone
2. Lymph nodes
3. Lung
4. Brain

Correct answer: 3. Lung

Explanation: Ans. is 'c' i.e., Lung . Post primary (secondary or adult) type of pulmonary tuberculosis is due to - i) Reactivation of latent infection. ii) Exogenous reinfection.